Which of the following is a feature of a lacerated wound?
1. Clean cut wound
2. Regular margin
3. Irregular margin
4. Tapered margins

Correct answer: 3. Irregular margin

Explanation: Features of lacerated wound: Margins are irregular, ragged and uneven and their ends are pointed or blunt Bruising is seen either in the skin or subcutaneous tissue around the wound Deeper tissues are unevenly divided with tags of tissue at the bottom of wound bridging across the margin Hair bulbs are crushed Hair and epidermal tags may be driven deeply into the wound Less hemorrhage Presence of foreign matter in the wound Shape and size of the wound does not correspond to the weapon used